Sq. cell tumor of urinary bladder is due to ?
1. Stone
2. Schistosomiasis
3. Chr. cystitis
4. All

Correct answer: 4. All

Explanation: Answer is 'a' i.e. Stone 'b' i.e. Schistosomiasis & 'c' i.e. Chronic cystitis